A 43 year old patient comes to emergency with chest pain. He is a chronic alcoholic and he had a episode of vomiting with bright red colour blood. Endoscopy shows partial thickness tear in distal oesophagus. What is the diagnosis
1. Mallory Weiss tears
2. Boerhaave syndrome
3. Alcoholic liver disease
4. None of the above

Correct answer: 1. Mallory Weiss tears

Explanation: Mallory Weiss tear is found in alcoholics after forceful vomiting. It is mucosal tear in distal oesophagus